Caspases are involved in.
1. A. Necrosis
2. B. Apoptosis
3. C. Atherosclerosis
4. D. Inflammation

Correct answer: 2. B. Apoptosis

Explanation: Caspes are present in normal cells as inactive proenzymes and when they are activated they cleave proteins and induce Apoptosis. These are cysteine professes.